"Inflation of lungs induces further inflation" is explained by
1. Hering-Breuer inflation reflex
2. Hering-Breuer deflation reflex
3. Head's paradoxical reflex
4. J-reflex

Correct answer: 3. Head's paradoxical reflex

Explanation: "Inflation of lungs, under certain conditions, enhances inspiratory activity. 
This called Head's paradoxical reflex".— Understanding medical physiology